Pseudopolyps are features of
1. Crohn's disease
2. Ulcerative colitis
3. Celiac sprue
4. Whipple's disease

Correct answer: 2. Ulcerative colitis

Explanation: Answer is B (Ulcerative colitis) Colonic involvement with ulcerative colitis is characterised by extensive, broad based ulceration of the mucosa in the distal colon or throughout its length. Pseudopolyps are created by bulging upwards of isolated islands of regenerating mucosa.